Ectopic pregnancy is RAREST and MOST COMMON among which of the following sites respectively?
1. Ovary and ampulla of fallopian tube
2. Broad ligament and isthmus of fallopian tube
3. Cervical and ampulla of fallopian tube
4. Abdominal and isthmus of fallopian tube

Correct answer: 3. Cervical and ampulla of fallopian tube

Explanation: MC site of Ectopic Pregnancy - Fallopian tube - Ampulla (MC) Least Common site of Ectopic Pregnancy - Caessarian scar of Previous Pregnancy > Cervical Ectopic > Abdominal